The orifice of the parotid duct is located:
1. At the hamular notch
2. In proximity to the incisive papillae
3. On the buccal mucosa near the maxillary second molar
4. Slightly posterior to the mandibular central incisors

Correct answer: 3. On the buccal mucosa near the maxillary second molar